Parasites transmitted by ingestion are the following EXCEPT
1. Trichuris trichura
2. Ankylostoma duodenale
3. Trichinella spiralis
4. Dracunculus medinensis

Correct answer: 2. Ankylostoma duodenale

Explanation: Ans. b (Ankylostoma duodenale) (Ref. Parasitology by Chatteijee 12th ed., 164)HOOKWORM# Ankylostoma duodenale# Portal of entry is skin# Adult worm lives in small intestine of man (the only definitive host)# Eggs float in saturated solution of common salt# Habitual Blood sucker# It causes -- Bronchitis and bronchopneumonia,- Creeping eruptions (cutaneous larva migrans),# Ground itch (Ancylostome dermatitis),# Iron deficiency and diamorphic anemia.TransmissionParasite Feco-oral Transmission# Enterobius vermicularis (pin/thread worm)# Trichuris trichura (whip worm) # Ascaris lumbricoides (round worm)# Toxocara # Entamoeba# Giardia # Isospora# Cryptococosis # Cyclospora# Taenia # Guinea worm Soil-Skin Transmission# Ankylostoma duodenale (hookworm)# Necatar americanusTRICHINOSIS# Trichinosis develops after meat ingestion containing cysts of trichinella, causes severe enteritis, periorbital edema, myositis and infrequently death and symptoms arise from successive phases of parasitic enteric invasion, larval migration and muscle encystment.# Myocarditis can occur.# Although not a neuroparasite, rarely encephalitis can occur.TRICHURIASIS# Asymptomatic# Acute appendicitis# Abdominal pain, mucous diarrhea, and weight loss (in heavy infection)# Occasionally rectal prolapse in massive Trichuriasis.Trophozoites or cvstic forms mav be detected in stool in the following:1. Amoebiasis2. Balantidiasis3. GiardiasisEggs may be detected in stool in the following:# Ascariasis# Ankylostomiasis# Trichuriasis# Fasciolopsiasis# Int. Schistosomiasis# Taeniasis# Diphyllobothriasis# Hymenolepiasis# Dipylidiasis# Fascioliasis# Clonarchiasis# Enterobius (rarely)Larvae may be detected in stool in the following:# StrongyloidosisAdult worm mav be detected in stool in the following:# Ascariasis,# Hookworm infection (after verifuge),# EnterobiasisSegments of adult worm mav be detected in stool in the following:# Taeniasis,# Diphyllobothriasis,# And other intestinal tapeworm infectionsAlso rememberfeatureParasites whose larvae are found in muscles?# rarasites# Trichinella spiralis# Taenia solium# Echinococcus# Toxoplasma gondii# Schistosoma mansoni# Trypanosoma cruziParasites whose larvae are found in heart muscles?# Trichinella spiralis# Toxoplasma gondii# Trypanosoma cruziWorms found in duodenum?Worms found in small intestine?# Strongyloides stercoralis# Taenia# Ankylostoma# Ascaris lumbricoides# Necator amerianusWorms found in large bowel?# Trichuris trichuraNote:# Band/ Rectangular forms of trophozoites are common in P malariae.# Sabin-Feldman dye test is for trophozoites of Toxoplasma gondii.Educational Points:D/D of AUTOINFECTION:# T. solium} # Enetrobious vermicularis # Capillaria philippinensis(Mnemonic: She Tc)# Hymenolepis nana # Strongyloides